Which of the folowing is not true about Rumination disorder?
1. Failure to thrive
2. Appears between 3 - 5 years of age
3. Regurgitation of food
4. No nausea

Correct answer: 2. Appears between 3 - 5 years of age

Explanation: This rare disorder occurs more commonly in males and usually appears between 3 and 14 months of age. It is potentially fatal; some reports indicate that up to one fourth of affected children die.